Commonest type of intracranial tumor is
1. Astrocytoma
2. Medulloblastoma
3. Meningioma
4. Secondaries

Correct answer: 4. Secondaries

Explanation: Reference 1315